Random error-
1. Systemic error
2. Bias
3. Confounding factor
4. Reduces precision

Correct answer: 4. Reduces precision